Fourchette is where
1. Distance between vulva and labia minora
2. Both labia minora meet anteriorly
3. Labia mionra and majora meet
4. Both labia minora meet posteriorly

Correct answer: 4. Both labia minora meet posteriorly

Explanation: Labia minora are two thick folds of skin devoid of fat, on either side just within the labia majora

Anteriorly they are divided to enclose the clitoris and unite with each other in front and behind clitoris to form prepuce and frenulum, respectively
The lower portion of labia minora fuses across the midline to form a fold of skin known as a fourchette. It is usually injured during childbirth.